USG examination of a 28-week pregnant primigravida shows vasa previa. All of the following are true, EXCEPT:
1. Incidence is 1:1500
2. Fetal mortality rate of 20% with undiagnosed case
3. Associated with low lying placenta
4. Caesarian section is indicated

Correct answer: 2. Fetal mortality rate of 20% with undiagnosed case

Explanation: Vasa previa is a condition in which fetal vessels traverse the membranes in the lower uterine segment, crossing over the cervical os on front of the fetal head. Vasa previa complicates approximately 1 in 1000 to 1 in 5000 pregnancies. Perinatal mortality ranges from 30% to 100%. The appropriate course of action is to deliver immediately caesarean section to prevent impending fetal demise. Ref: Wagner S.A. (2013). Chapter 18. Third-Trimester Vaginal Bleeding. In A.H. DeCherney, L. Nathan, N. Laufer, A.S. Roman (Eds), CURRENT Diagnosis & Treatment: Obstetrics & Gynecology, 11e.